A 40 year old women presented with a CT scan of head showing an enlarged sellatursica. Neurological and endocrine work up in detail were found to be normal. The most likely diagnosis is-
1. Prolactinoma
2. Chromophobe adenoma
3. Craniophobe
4. Empty sella syndrome

Correct answer: 4. Empty sella syndrome

Explanation: in empty Sella syndrome , patient usually have normal pituitary function , implying that surrounding rim of pituitary tissue is fully functional ( Harrison 17 pg 2199)